The patient developed pain and severe vision loss 2 days after cataract surgery.On examination the following finding in seen.All are true about the given condition except?
1. It involves inflammation of all layers of eyeball
2. Systemic antibiotics is not usefull
3. Instillation of 5% povidone iodine into conjunctival fornices is good prophylactic treatment
4. Rice is 0.2 - 0.5%

Correct answer: 1. It involves inflammation of all layers of eyeball

Explanation: This condition is Endophthalmitis which is most revese complication of cataract surgery.
It involves inflamation of inner layer of eyeball sparing sclera.